Anterior focal point is at distance of in front of cornea in recuded eye
1. 22.6 mm
2. 17.2 mm
3. 15.7 mm
4. 24.13 mm

Correct answer: 3. 15.7 mm

Explanation: Answer- C. 15.7 mmAnterior Focal Point- 15.7 mm